Which of the following is not an opioid peptide?
1. Beta Endorphin
2. Epinephrine
3. Leu5-encephalin
4. Met5-encephalin

Correct answer: 2. Epinephrine

Explanation: Beta endorphin, leu-5 encephalin, met-5encephalin are all opiod peptides. Ref KD Tripathi 8th ed.